Abnormalities of copper metabolism are implicated in the pathogenesis of all the following except ?
1. Wilson's disease
2. Monkes' Kinky-hair syndrome
3. Indian childhood cirrhosis
4. Keshan disease

Correct answer: 4. Keshan disease

Explanation: Ans. is 'd' i.e., Keshan diseaseKeshan disease is a disorder of selenium metabolism.o Following diseases are related to copper metabolism :-i) Wilson's diseaseii) Menkes kinky hair syndromeIndian childhood cirrhosis (increased hepatic, urinary and serum copper concentration are characteristic of ICC).